Most common complication of chronic gastric ulcer is:
1. Tea pot stomach
2. Scirrhous carcinoma (adenocarcinoma)
3. Perforation
4. Haemorrhage

Correct answer: 4. Haemorrhage

Explanation: Answer is D (Haemorrhage): The most common complication of both acute and chronic peptic ulcers is gastrointestinal haemorrhage. `Haemorrhage is the commonest complication of chronic peptic ulcers '-